Non-sterile vegetations are seen in -
1. Rheumatic fever
2. Infective endocarditis
3. Non bacterial thrombotic endocarditis
4. Libman sack's endocarditis

Correct answer: 2. Infective endocarditis

Explanation: Ans. is 'b' i.e., Infective endocarditis o As the name suggests, non-sterile means presense of organism in the vegetation that is the characteristic feature of infective endocarditis. o Vegetation of infective endocarditis has following characteristics Large, bulky, friable and irregular Multiple Present on upper surface of the cusps. o Vegetation is a mass of platelets, fibrin, microcolonies of microorganisms (non-sterile) and scant inflammatory cells. o Aortic and mitral valves are the most common sites of infection. o In intravenous drug users, valves of right side are involved. o Vegetations sometimes erode into the underlying myocardium to produce an abscess cavity --> Ring abscess. Why heart valve is the most common site of infective endocarditis ? Lets see o As the valves of heart do not actually receive any supply of their own, defensive immune mechanism (such as WBCs) cannot approach the valves. o So, if an organisms (such as bacteria) establishes a hold on the valve forming a vegetation, the body cannot get rid of them.